True about calcium in kidney is
1. Most reabsorption occurs in DCT
2. Major regulating factor is parathormone
3. Parathormone decreases calcium absorption
4. Increased plasma phosphate decreases calcium resorption

Correct answer: 2. Major regulating factor is parathormone

Explanation: Parathormone secreted by parathyroid glands regulates the blood calcium level. Ref: guyton and hall textbook of medical physiology 12 edition page number: 495,496,497